All of thre following are causes of death in burn patients except -
1. ARDS
2. Shock
3. Sepsis
4. Hyperkalemia

Correct answer: 4. Hyperkalemia

Explanation: Answer- D. HyperkalemiaShockHypothermiaSepsisARDSMultiple organ failure